What does PACS in medical imaging stands for?
1. Planned archiving common system
2. Planned archiving computerized system
3. Picture archiving and communication system
4. Picture archiving or computerized system

Correct answer: 3. Picture archiving and communication system

Explanation: Historically, radiographic images were printed on film. However, with widespread adoption of PACS (picture archiving and communications system), images can be electronically processed and viewed on computer work screens. These images then can be transmitted anywhere electronically the Internet. Ref: Wasserman P.L., Pope T.L. (2011). Chapter 7. Imaging of Joints. In M.Y. Chen, T.L. Pope, D.J. Ott (Eds), Basic Radiology, 2e.